The following is a generalized diagram of a typical eukaryotic gene , What is the most likely effect of a 2bp insertion in the middle of the intron?
1. Normal transcription, altered translation
2. Defective termination of transcription, normal translation
3. Normal transcription, defective mRNA splicing
4. Normal transcription, normal translation

Correct answer: 4. Normal transcription, normal translation

Explanation: Introns are non-coding region of gene which are processed out of primary transcript. Hence, any change in intron will not effect transcription or translation.